A 69-year-old man is informed that the cause of his dysphagis is a benign lesion. The barium swallow is shown in (Figure below). What should he be told regarding benign tumors and cysts of the esophagus?Leiomyoma of esophagus. Note smooth rounded density causing extrinsic compression of esophageal lumen
1. They occur more commonly than malignant tumors.
2. They are symptomatic at an early age.
3. Diagnosis is best confirmed on chest x-ray.
4. Leiomyoma is the most common benign tumor encountered in the esophagus.

Correct answer: 4. Leiomyoma is the most common benign tumor encountered in the esophagus.

Explanation: Leiomyoma is the most common benign tumor encountered in the esophagus. Malignant transformation is thought to be rare. Less than 10%. of alimentary tract leiomyomas are found in the esophagus. They are composed of spindle cells and grow slowly and may progressively cause obstructive symptoms. Leiomyomas are not referred to as a benign GIST. Other benign lesions are congenital or acquired cysts, adenomatous polyps, papillomas, lipomas, neurofibromas, and hemangiomas.